. Which of the following is not seen in Corpus Cancer syndrome aEUR'
1. Diabetes mellitus
2. Hypertension
3. Obesity
4. Multiparity

Correct answer: 4. Multiparity

Explanation: Multiparity Females with diabetes, hypertension, or taking diet rich in fat are at higher risk of endometrial cancer. This is called corpus cancer syndrome which consists of obesity, hypertension and diabetes. Risk factors for Endometrial carcinoma :? Factor influencing risk Relative Risk * Obesity 2 - 5 * Polycystic ovary syndrome >5 * Long term use of high dose menopausal estrogens 10 - 20 * Early age of menarche 1.5 - 2 * Late age of natural menopause 2 - 3 * History of infertility 2 - 3 * Nulliparity 3 * Menstrual irregularities 1.5 * Residency in North America or North Europe 3 - 18 * Higher level of income or education 1.5 - 2 * White race 2 * Older age 2 - 3 * High cumulative dose of tamoxifen 3 -- 7 * History of diabetes, hypertension gallbladder 1.3-3 * High dose of OCV s 0.3-0.5 * Cigarette smoking .05